Acute infection of hepatitis B virus is diagnosed by:
1. IgM antibody of Hbs Ag
2. IgM antibody of Hbc Ag
3. IgG antibody of Hbs Ag
4. IgG antibody of Hbc Ag

Correct answer: 2. IgM antibody of Hbc Ag

Explanation: Ans. is 'b' IgM antibody of HBcAg (Ref. November 2001, Micro, Harrison 17/e p 1943-44,1933-34 & 16/e, p 1823-24).